Anterior belly of digastric is supplied by:
1. Branch of mandibular nerve/ Mylohyoid nerve
2. Branch of facial nerve
3. Branch of cervical plexus
4. Hypoglossal nerve

Correct answer: 1. Branch of mandibular nerve/ Mylohyoid nerve